Anti U1-RNP antibody is seen in?
1. SLE
2. Scleroderma
3. MCTD
4. Dermatomyositis

Correct answer: 3. MCTD

Explanation: “Absence of U1 RNP antibodies essentially rules out mixed connective tissue disorder”
ANTINUCLEAR ANTIBODY (ANA) PATTERNS AND CLINICAL ASSOCIATIONS